All steps of N- glycosylation occur in ER except
1. Dolichol synthesis
2. Glycosyl transferase
3. Protein- oligosacharide transferase
4. Final trimming

Correct answer: 4. Final trimming

Explanation: D i.e. Final trimming